All the contents of femoral sheath EXCEPT
1. Femoral artery
2. Femoral nerve
3. Femoral vein
4. Genito femoral nerve

Correct answer: 2. Femoral nerve

Explanation: (Femoral nerve) (52 - 53 - BDC - 2) (629 - Snell 7th)FEMORAL NERVE - does not enter the thigh within the femoral sheath. It is the largest branch of the lumber plexus and supplies all the muscles of the anterior compartment of the thighThree compartment f the femoral sheath with their contents